A clot size of a clenched fist indicates blood loss of approximately
1. 100 ml
2. 200 ml
3. 300ml
4. 500 ml

Correct answer: 4. 500 ml

Explanation: Measurement of Blood Loss Clot size of a clenched fist is 500 ml. Blood loss in a closed tibial fracture is 500-1500 ml; in a fracture femur is 500-2000 ml. Weighing the swab before and after use is an important method of on-table assessment of blood loss. Ref: SRB's Manual of Surgery 6th edition Pgno :120